EI Tor vibrio may be differentiated from classical vibrio by fact that EI Tor vibrio-
1. Agglutinate chicken and sheep erythrocytess
2. Resistant to classical phage IV
3. Resistant to polymyxin B-50 unit disc
4. All of the above

Correct answer: 4. All of the above

Explanation: El Tor vibrios Agglutinate chicken and sheep erythrocytes. Resistant to classical phage IV Resistant to polymixin B-50-unit disc, and The VP reaction and haemolytic test do not give consistent results. Ref:PARK'S TEXTBOOK OF PREVENTIVE AND SOCIAL MEDICINE 23rd edition , Page 229